A bone tumour arising from metaphysis -
1. Osteogenic sarcoma
2. Ewing sarcoma
3. Osteoclastoma
4. Osteiod osteoma

Correct answer: 1. Osteogenic sarcoma

Explanation: Metaphyseal lesions

Osteogenic sarcoma                 
Unicameral (simple) bone cyst                                
Aneurysmal bone cyst              
Fibrous cortical defect             

Diaphyseal lesions

Ewing sarcoma
Lymphomas
Fibrous dysplasia
Adamantinoma
Histiocytosis
Osteoid osteoma